All the following drugs cause renal failure, EXCEPT:
1. Gentamicin
2. Cephaloridine
3. Cefoperazone
4. Amphoterecin B

Correct answer: 3. Cefoperazone

Explanation: Cefoperazone is a 3rd generation cephalosporin. It is primarily excreted in bile hence rarely nephrotoxic. These are active against gram negative organisms resistant to other beta lactam antibiotics and have stronger activity against Pseudomonas aeruginosa. Indications for use are- severe urinary, biliary, respiratory, skin-soft tissue infections, meningitis and septicemias. A Disulfiram like reaction with alcohol has been reported with its use. Ref: Essentials of Medical Pharmacology By K D Tripathi, 5th Edition, Page 665